White, ropy secretion is a feature of:
1. Phylectenular conjunctivitis
2. Vernal keratoconjunctivitis
3. Trachoma
4. Tubercular conjunctivitis

Correct answer: 2. Vernal keratoconjunctivitis

Explanation: Ans. B i.e. Vernal keratoconjunctivitis Vernal catarrh Homer trantas spots on bulbar conjunctiva, Cobble stone appearance of palpebral conjunctiva, Papillary hypertrophy, Type I hypersensitivity, Maxwell Lyon sign: - Stringy, - Ropy discharge